As per ISO, color of N20 cylinder is
1. Blue
2. Black
3. White
4. Red

Correct answer: 1. Blue

Explanation: To differentiate color coding is given to the cylinders . Blue - N20 Black - N2 Orange - Cyclopropane Grey - Co2 Black body with white shoulder - O2 Black body with brown shoulder - Heliox ( Helium + 02 )